Which of the following is a bilateral landmark on the
lateral cephalogram
1. Basion
2. Pogonion
3. Gonion
4. Nasion

Correct answer: 3. Gonion